Testing sequence for pulp testing should be:
1. Posterior to midline.
2. Midline to posterior.
3. Posterior to involved tooth.
4. Any of the above.

Correct answer: 1. Posterior to midline.